A coin is loaded in the esophagus of an asymptomatic 3 years female child, treatment is:
1. Endoscopic removal after 24 hours
2. Immediate endoscopic removal
3. Wait for 48 hours
4. Dislodge the coin to the stomach by inserting Ryle's tube

Correct answer: 1. Endoscopic removal after 24 hours

Explanation: Asymptomatic blunt objects and coins can be observed for up to 24 hr anticipating passage into the stomach. If they still remain lodged in the esophagus, endoscopic removal is warranted. Sharp objects, disk button batteries, or foreign bodies associated with respiratory symptoms require urgent removal.